Which of the following show the looser's zone or Pseudofracture
1. Vitamin C deficiency
2. Osteoporosis
3. Thyroididtis
4. Osteomalacia

Correct answer: 4. Osteomalacia

Explanation: Pseudofracture/ Looser's zones : Wide, transverse lucencies traversing part way through a bone, usually at right angles to the involved cortex The characteristic feature of osteomalacia Also seen in: Paget's disease Fibrous dyplasia Hyperparathyroidism Renal osteodystrophy Symmetrically distributed in : Pubi rami Femoral neck Medial border of scapula